Gene affected in breast cancer?
1. WT1
2. p53
3. RAS
4. p83

Correct answer: 2. p53

Explanation: Ans. is 'b' i.e., p53 * Most common gene involved infamilial breast cancer - BRCA-1* Most common gene involved in sporadic breast cancer -p53* Most common gene involved overall (Hereditory plus sporadic) - p53* Maximum increase in susceptibility to breast cancer is seen with - p53 mutation (>90%) whether it is sporadic or Hereditary.